Acute severe lung injury is characterised by-
1. Hypotension
2. Shunting
3. Cardiac tamponade
4. Cardiac irregularities

Correct answer: 2. Shunting